True about strangulation of intestine is:
1. Arterial blood flow affected first
2. Usually venous blood flow affected first
3. Blood flow normal
4. No gangrene

Correct answer: 2. Usually venous blood flow affected first

Explanation: Venous return is compromised before arterial supply in strangulated intestinal obstruction.